GTP is required by which of the following steps in protein synthesis?
1. Aminoacyl--tRNA synthetase activation of amino acids
2. Attachment of mRNA to ribosomes
3. Attachment of ribosomes to endoplasmic reticulum
4. Translocation of tRNA--nascent protein complex from A toP sites

Correct answer: 4. Translocation of tRNA--nascent protein complex from A toP sites

Explanation: he entry of the aminoacyl-tRNA into the A site results in the hydrolysis of one GTP to GDP. Translocation of the newly formed peptidyl-tRNA in the A site into the P site by EF 2 similarly results in hydrolysis of GTP to GDP and phosphate. Thus, the energy requirements for the formation of one peptide bond include the equivalent of the hydrolysis of two ATP molecules to ADP and of two GTP molecules to GDP, or the hydrolysis of four high-energy phosphate bonds. Ref: Weil P. (2011). Chapter 37. Protein Synthesis & the Genetic Code. In D.A. Bender, K.M. Botham, P.A. Weil, P.J. Kennelly, R.K. Murray, V.W. Rodwell (Eds),Harper's Illustrated Biochemistry, 29e.